Corn flakes is classified as which grade of glycemic index:
1. Very low
2. Low
3. High
4. Medium

Correct answer: 3. High

Explanation: classification GI range Example Low GI 55 or less Most fruits and vegetables except potatoes and water melon, pasta beans, lentils Medium GI 56-69 Sucrose, brown rice, basmati rice High GI 70 or more Corn flakes, white bread, candy bar Ref: Park 22nd edition, page 568